Stagnant hypoxia is seen in ?
1. COPD
2. Anemia
3. CO poisoning
4. Shock

Correct answer: 4. Shock

Explanation: Ans. is 'd' i.e., Shock